Risk factors of pulm embolism
1. 30 yrs female of OCPs
2. Pregnancy
3. Leg paralysis
4. All

Correct answer: 4. All

Explanation: Risk factors for pulmonary embolism include (a) Surgical-major abdominal/pelvic surgery,hip/knee surgery,post operative intensive care; (b) Obstetric-pregnancy/puerperium,use of OCPs; (c) Cardiorespiratory-COPD,congestive cardiac failure; (d) Lower limb problems-fracture,varicose bins,stroke/spinal cord injury; (e) Malignant-abdominal/pelvic,advanced/metastatic,concurrent chemotherapy; (f) Miscellaneous- increasing age,immobility,thrombotic disorders,trauma. Reference:Davidson's medicine-22nd edition,page no:721.